The last primary tooth to be replaced by a permanent 
tooth is usually the:
1. Maxillary second molar
2. Mandibular second molar
3. Maxillary canine
4. Mandibular canine

Correct answer: 3. Maxillary canine